Traction force required for forceps delivery in primigravida is :
1. 15 kgs
2. 18-20 kgs
3. 13 kgs
4. 25 kgs

Correct answer: 2. 18-20 kgs

Explanation: Traction force required by forceps is: Primigravida -18-20 kgs Multigravida-13 kgs Vacuum - initial pressure is 0.2 kg/cm2 induced over 2 minutes. The pressure is gradually increased at the rate of 0.1 kg/cm2 to a maximum of 0.8 kg/cm2. Ref: Datta Obs 9e pg 533.